The function of proximal grooves in a class II cavity is:
1. Resistance form
2. Retention form
3. Increases strength
4. Resistance and retention form

Correct answer: 4. Resistance and retention form

Explanation: Secondary retention and resistance form

Retention grooves and locks are placed in the proximal box